Vitamin B12 deficiency can give rise to all of the following, except:
1. Myelopathy.
2. Optic atrophy
3. Peripheral neuropathy
4. Myopathy

Correct answer: 4. Myopathy

Explanation: Answer is D (Myopathy) : Vitamin B12 deficiency does not produce myopathy. All other neurological manifestations may be seen with vitamin B,2 deficiecny.